Function of floculonodular lobe of cerebellum ?
1. Postural balance
2. Smoothening of movement
3. Planning of movement
4. All of the above

Correct answer: 1. Postural balance

Explanation: Ans. is 'a' i.e., Postural balance